Deficiency of which of the following causes perioral rash, gonadal atrophy, neuritis and pigmentation of skin crease ?
1. Zinc
2. Copper
3. Selenium
4. Magnesium

Correct answer: 1. Zinc

Explanation: The condition described is acrodermatitis enteropathica.